A 58-year-old man had chest pain persisting for 4 hours. A radiographic imaging procedure showed an infarction involving a 4-cm area of the posterior left ventricular free wall. Laboratory findings showed serum creatine kinase of 600 U/L. Which of the following pathologic findings would most likely be seen in the left ventricular lesion 1 month later?
1. Chronic inflammation
2. Coagulative necrosis
3. Complete resolution
4. Fibrous scar

Correct answer: 4. Fibrous scar

Explanation: The elevated creatine kinase level indicates that myocardial necrosis has occurred. A fibrous scar gradually replaces the area of myocardial necrosis. Chronic inflammation is typically driven by ongoing stimuli such as persistent infection, autoimmunity, or irritation from endogenous or exogenous chemical agents, and it is not a feature of ischemic myocardial injury. Coagulative necrosis is typical of myocardial infarction, but after 1 month, a scar would be present. The destruction of myocardial fibers precludes complete resolution. Nodular regeneration is typical of hepatocyte injury because hepatocytes are stable cells.